The most sensitive indicator of depletion of intravascular volume in infant is-
1. Cardiac output
2. Stroke volume
3. Heart rate
4. Blood pressure

Correct answer: 3. Heart rate

Explanation: Ans. is 'c' i.e., Heart rate o An increase in heart rate is the earliest and the most sensitive indicator to any reduction in intravascular volume.